A child is able to draw a triangle by the age of:-
1. 2 years
2. 3 years
3. 4 years
4. 5 years

Correct answer: 4. 5 years

Explanation: A child is able to draw a triangle by the age of:-5 years